True about burns -
1. Hyperglycemia is seen in early burns
2. Child with burns should have damp dressing
3. Chemical powder burns should be kept dry
4. 3rd degree burns are painfull

Correct answer: 1. Hyperglycemia is seen in early burns

Explanation: Ans. is 'a' i.e., Hyperglycemia is seen in early burns